A 2 year old child is brought by parents with history of seizures and developmental delay. He has multiple hypopigmented macules over the back. What is the most probable diagnosis -
1. Neurofibromatosis type 1
2. Tuberous sclerosis
3. Sturge weber's syndrome
4. Linear Sebaceous nevus syndrome

Correct answer: 2. Tuberous sclerosis

Explanation: Ans. is 'b' i.e., Tuberous sclerosis History of seizures and multiple hypopigmented macules over the back (ash leap patch) suggest the diagnosis of tuberous sclerosis.